Which of the following is a complete sulcus
1. Central sulcus
2. Paracentral sulcus
3. Collateral sulcus
4. Post calcarine sulcus

Correct answer: 3. Collateral sulcus

Explanation: Collateral sulcus and calcarine sulcus are complete sulcus